Scleritis is most commonly associated with:
1. Polyarteritis nodosa
2. Tuberculosis
3. Rheumatoid arthritis
4. Sarcoidosis

Correct answer: 3. Rheumatoid arthritis

Explanation: Ans. Rheumatoid arthritis